A mother of two kids both doing bad in school presents with bilateral headache that worsens with emotional stress. What is the most likely diagnosis?
1. Migraine
2. Cluster headache
3. Trigeminal neuralgia
4. Tension headache

Correct answer: 4. Tension headache

Explanation: Tension-type headache (TTH) is commonly used to describe a chronic head-pain syndrome characterized by bilateral tight, bandlike discomfort. The pain typically builds slowly, fluctuates in severity, and may persist more or less continuously for many days. The headache may be episodic or chronic (present >15 days per month). TTH are completely without accompanying features such as nausea, vomiting, photophobia, phonophobia, osmophobia, throbbing and aggravation with movement. The pain of TTH can generally be managed with simple analgesics such as acetaminophen, aspirin, or NSAIDs. Behavioral approaches including relaxation can also be effective. Ref: Harrison's Internal Medicine, 18th Edition, Pages 120-122, 114-120, 122, 3360-3361